What is the pH at which initiation of caries begins?
1. 4.3 - 4.5
2. 5.2 - 5.5
3. 4.9 - 5.1
4. 3.5 - 4. 5

Correct answer: 2. 5.2 - 5.5